Following are progesterone related side effects with hormone replacement therapy except
1. Acne
2. Leg cramps
3. Irritability
4. Constipation

Correct answer: 2. Leg cramps

Explanation: Leg cramps are oestrogen related side effects with HRT.